Oreo cookie sign is a radiological finding of
1. Aberrant subclavian artery
2. Pericardial effusion
3. Left atrium enlargement
4. Endomyocardial fibrosis

Correct answer: 2. Pericardial effusion

Explanation: Oreo - cookie sign - radioopaque pericardial fluid is borderd on either side by echo - dense pericardial fat.